Most common extrahepatic complication of amoebic hepatitis is -
1. Meningitis
2. Lung abscess
3. Nephritis
4. Encephalitis

Correct answer: 2. Lung abscess

Explanation: Ans. is 'b' i.e.. Lung abscess o Pleuropulmonary involvement is the most frequent complication of amoebic liver abscess (amoebic hepatitis).Clinical features of amoebic infectiono The most common type of amoebic infection is asymptomatic cyst passage.o Incubation period for amoebic colitis is 2-6 weeks.o Submucosal extenstion of ulceration under viable appearing surface mucosa causes the clasic "flask shaped"' ulcer.o Amoebiosis most frequently involves the cecum and ascending colon, followed in order by the sigmoid, rectum and appendix.-------Robbings 7th/ep. 839.o Patients on steroids, pregnant women, children and malnourished individuals may suffer from :Fulminant colitisToxic megacolon Perforation peritonitiso Amoebic liver abscessAmoebic liver abscess is the most common extra intestinal manifestation of amoebiasis.Most common in postero-superior surface of the right lobe.Usually there is one large solitary abscess.The necrotic contents of liver abscess are classically described as anchovy-sauce pus.Pleuropulmonary involvement is the most frequent complication of amoebic liver abscess.